Tooth with most variable occlusal anatomy:
1. Maxillary third molar
2. Mandibular third molar
3. Maxillary second premolar
4. Mandibular second premolar

Correct answer: 1. Maxillary third molar